In giant cell tumor of the bone.,the cell of origin is
1. Fibroblst cells
2. Osteoclast and precursors
3. Osteoblast and precursors
4. Sinusoidal cells

Correct answer: 3. Osteoblast and precursors

Explanation: The Neoplastic cells of giant cell tumor are primitive osteoblast precursors but they represent only a minority of the tumor cells.The bulk of the tumor consists of non Neoplastic osteoclast and their precursors Ref Robbins page no 1203